Dialysis is not indicated in toxicity of:
1. Lithium
2. Methanol
3. Salicylates
4. Digitalis

Correct answer: 4. Digitalis